A 32-year-old female is suffering from scabies due to sarcoptic. Physician prescribed her the following drug
1. DEC 6 mg/kg BW for 12 days
2. DEC 9 mg/kg BW for 12 days
3. Ivermectin 200mcg/kg BW
4. Ivermectin 100mg/kg BW

Correct answer: 3. Ivermectin 200mcg/kg BW

Explanation: Dosage of DEC for filariasis is 6mg/kg BW for 12 days DOC for scabies- ivermectin 150-200 mcg/kg BW Ref: D.R. Arora. Medical parasitology 4th ed pg. 229